Postpartum blues occurs within ----- after delivery
1. First week
2. Four weeks
3. Six weeks
4. Eight weeks

Correct answer: 1. First week

Explanation: Postpartum blues:This is a time-limited period of heightened emotional reactivity experienced by half of the women within the first week after parturition. This emotional stage generally peaks on the fourth or fifth postpartum day and normalizes by day 10. (Ref: William's Obstetrics; 25th edition)